Pulmonary eosinophilia is seen in the following parasitic infections except -
1. Babesiosis
2. Hookworm infection
3. Strongyloidiasis
4. Visceral larva migrans

Correct answer: 1. Babesiosis

Explanation: pulmonary eosinophilia is caused by Strongyloidiasis: Paragonimiasis: Toxocariasis: